Which of the following is not a feature of cardiac muscle?
1. Tetany
2. All or none phenomenon
3. Pacemaker potential
4. Length-tension relationship

Correct answer: 1. Tetany

Explanation: Tetany is not possible in cardiac muscle due to long refractory period